What is electrical storm?
1. > 3 episodes of ventricular tachycardia within 24 hours
2. > 3 episodes of atrial tachycardia within 24 hours
3. Electromechanical dissociation
4. Electrical alternans

Correct answer: 1. > 3 episodes of ventricular tachycardia within 24 hours

Explanation: Electrical storm: Condition in which patient develops recurrent V. tachycardia. Cut off >3 episodes of V.T within 24 hrs. Option C: Electromechanical Dissociation: Terminology used to describe rupture heart which causes pulseless BP|| Option D: Electrical alternans- Variations in QRS amplitude in conditions - C. tamponade